Fever & hemorrhagic rash are seen in all except?
1. Dengu fever
2. Lassas fever
3. Rift Valley fever
4. Sand fly fever

Correct answer: 4. Sand fly fever

Explanation: Ans. is `d' i.e., Sand fly fever Among the given options, sand fly fever is not Hemorrhagic fever (see previous explanations).